Which transfusion will result in a transfusion reaction? Assume that the patient has never had a transfusion
1. Type O Rh-negative packed cells to an AB Rh-positive patient
2. Type A Rh-positive packed cells to an A Rh-negative patient
3. Type AB Rh-positive packed cells to an AB Rh-positive patient
4. Type A Rh-positive packed cells to an O Rh-positive Patient

Correct answer: 4. Type A Rh-positive packed cells to an O Rh-positive Patient

Explanation: Type O RBCs are considered to be universal donor blood. Reactions occur between the recipient's antibody and donor antigen as shown in the following table. Donor Donor antigen Recipient Recipient Antibody Reaction O - negative None AB - positive None None A - positive A, Rh A - negative B None AB-positive A,B, Rh AB-positive None None A - positive A, Rh O - positive A, B A (antigen and A (antibody)